Lovaas-based Model is which kind of intervention used in Autistic spectrum disorders ?
1. Educational intervention
2. Cognitive and behavioral intervention
3. Early Intensive behavioral and developmental intervention
4. Social Skills training

Correct answer: 3. Early Intensive behavioral and developmental intervention

Explanation: Lovaas-based Model is an Early Intensive behavioral and developmental intervention Non pharmacological Interventions in Autistic spectrum disorders Early Intensive behavioral and developmental intervention Educational interventions Cognitive and behavioral intervention Social Skills training UCLA/Lovaas-based Model Early Start Denver Model (ESDM) Parent Training Approaches Treatment and Education of Autistic and Communication relatedHandicapped children (TEACCH) Broad-based approaches Computer-based approaches and virtual reality Behavioral Therapy Cognitive-Behavioral Therapy Initiating socialconversation, greetings, initiating games, and joint attention.